Which of the following is octapeptide
1. Glutathione
2. Angiotensin I
3. Angiotensin II
4. Oxytocin

Correct answer: 3. Angiotensin II

Explanation: Glutathione is tripeptide
Angiotensin I is decapeptide
Oxytocin and Vasopressin are nonapeptide.